Sex worker with discharging ulcer, gram-negative diplococci & growth on modified
Thayer Martin media. Diagnosis
1. N. gonococci
2. Syphilis
3. LGV
4. Chancroid

Correct answer: 1. N. gonococci

Explanation: Information in this question are -
i. Gram negative diplococci.
ii. Growth on modified Thayer-Martin media.

Neisseria gonorrhoeae is a gram negative diplococci and Thayer-Martin medium is the selective medium for gonococci.